Which of the following is a contraindications for trial of labour?
1. Mid pelvic contraction
2. Postmaturity
3. Post Caesarean pregnancy
4. All of the above

Correct answer: 4. All of the above

Explanation: Contraindications for trial of labour: Associated midpelvic and outlet contraction Presence of complicating factors like, Elderly primigravida Malpresentation Postmaturity Post Caesarean pregnancy Pre-eclampsia Medical disorders like heart disease, diabetes, tuberculosis etc. Where facilities for caesarean section is not available Ref: Textbook of Obstetrics D C Dutta, 6th edition, Page 355.